Water irrigating devices are most useful in
1. Removing plaque
2. Preventing plaque formation
3. Diluting bacterial products
4. Reducing periodontal pockets

Correct answer: 3. Diluting bacterial products